Slit-lamp microscopy is indicated in -
1. Corneal Opacities
2. Disease of anterior chamber
3. Lens opacities
4. All of the above

Correct answer: 4. All of the above

Explanation: Structures which can be examined with a slit-lamp are- Lid margin Conjunctiva Cornea Sclera Anterior chamber Iris and pupil Lens Anterior part of vitreous Reference: A K KHURANA COMPREHENSIVE OPHTHALMOLOGY, Edition 4, page-547